Ruptured tendon is most commonly seen in
1. Stab injury
2. Soft Tissue tumour
3. Overuse
4. Congenital defect

Correct answer: 3. Overuse

Explanation: C i.e. Overuse Most frequent cause of partial or complete rupture of a muscle or tendon is eccentric overloadQ of the muscle tendon unit. One factor contributing to muscle overload is fatigue (due to over use)Q, which makes the muscle unable to absorb as much as eccentric force before overload. Strains most commonly occur in muscles that cross two joints, muscles that have higher % of type II fast twitch muscle fibers, and weaker muscle of an agonist antagonist muscle group. eg hamstring, gastrocnemius & rectus femoris. Achiles tendon rupture commonly occurs to otherwise healthy men b/w the ages of 30 & 50 years who have no previous injury or problem reported in affected leg; typically "weekened warrious" who are active intermittently. Most TA tears occurs in left leg in the substance of TA, - 2- 6 cm - the watershed zone - above the caleaned insertion of tendon (d/t right handed more commonly push off with left foot) The most common mechanism of injury include sudden forced plantar flexion of foot unexpected dorsiflesion of foot, & violent dorsiflexion of planter flexed foot. Other mechanism indude direct trauma & less commonly, attrition of the tendon as a result of long standing peritenositis with or without tendinosis that body is unable to repair.